Th 1 type of cells are most dependent on ?
1. IFN-g
2. IL-4
3. IL-5
4. IL-6

Correct answer: 1. IFN-g

Explanation: Ans. is 'a' i.e., IFN-g